Bleuler's symptoms for schizophrenia are all except?
1. Loosening of association
2. Affect disturbances
3. Autism
4. Hallucinations

Correct answer: 4. Hallucinations

Explanation: Ans. is 'd' i.e., Hallucinations Eugen Bleuler renamed dementia precox as Schizophrenia. He recognized that schizophrenia is a group of disorders rather than a distinct entity. Therefore, he used the term, a group of schizophrenias. Bleuler described the characteristic symptoms (fundamental symptoms) for schizophrenia which are also known as 4 'A's of Bleuler :? Ambivalence (coexistence of two opposite feelings and attitude towards the same thing in the same person at the same time). Autism (Preoccupation with fantasies, delusions and hallucinations to the exclusion of reality). Affect disturbances (e.g., inappropriate affect) Association disturbances (e.g., Loosening of association, thought disorder). He also described accessary syptoms of schizophrenia : - delusions, hallucinations, and negativism.